Efavirenz limits HIV infection by :
1. Binding to active site of HIV reverse transcriptase
2. Impairing the binding of HIV virion to CD4 receptors on T–cells
3. Inhibiting the HIV protease
4. Serving as an allosteric inhibitor of HIV reverse transcriptase

Correct answer: 4. Serving as an allosteric inhibitor of HIV reverse transcriptase